Most effective method of sterilization by heat is
1. Hot air
2. Boiling
3. Steam
4. Steam under pressure

Correct answer: 4. Steam under pressure

Explanation: Most effective method of sterilization by heat is by using moist heat (steam) above atmospheric pressure Autoclave is a classical example. Principle of autoclave- when water boils under pressure, instead of boiling at 100 degrees, it boils at a higher temperature. Hence the steam generated is at higher temperature.